In which one of the following conditions the sialography is contraindicated
1. Ductal calculus
2. Chronic parotitis
3. Acute parotitis
4. Recurrent sialoadenitis

Correct answer: 3. Acute parotitis

Explanation: Sialography is contraindicated in acute sialadenitis (includes parotitis) for fear of exacerbating the condition." Sialography Is the contrast x-ray examination of the salivary ducts and glands Also k/a ptyalography